A hypothetical gene contains coding strand of 5'-TGGAATTGTATG-3. What would be the sequence of the resultant mRNA following transcription?
1. 3'-ACCTTAACATAC-5'
2. 5'-ACCUUTTAACAUAC-3'
3. 5'-UGGAAUUGUAUG-3'
4. 3'-UCCTTUUCAUAC-5'

Correct answer: 3. 5'-UGGAAUUGUAUG-3'

Explanation: DNA contains Adenine , Guanine , Cytosine and Thymine. RNA contains same as DNA but Uracil replaces the Thymine. REF : DM.VASUDEVAN.TEXTBOOK ; SEVENTH EDITION ; PAGE NO : 560.